Test tube retepegs are seen in the microscopic section of
1. ANUG
2. Inflammatory gingival hyperplasia
3. Gingival enlargement due to dilantin sodium
4. Plasma cell gingivitis

Correct answer: 3. Gingival enlargement due to dilantin sodium